The success of oral rehydration therapy of diarrhea depends upon which of the following processes in the intestinal mucosa?
1. Sodium pump mediated Na+ absorption
2. Glucose coupled Na+ absorption
3. Bicarbonate coupled Na+ absorption
4. Passive Na+ diffusion secondary to nutrient absorption

Correct answer: 2. Glucose coupled Na+ absorption

Explanation: Glucose coupled Na+ absorption from GIT remain patent even in presence of severe diarrhea whereas other mechanisms may fail. Thus, glucose is added in the ORS.